A patient complains of having pain with repeated movements of his thumb (claudication). His physician performs the Allen test and finds an insufficiency of the radial artery. Which of the following conditions would be a result of the radial artery stenosis?,
1. A marked decrease in the blood flow in the superficial palmar arterial arch
2. Decreased pulsation in the artery passing superficial to the flexor retinaculum
3. Ischemia of the entire extensor muscles of the forearm
4. A marked decrease in the blood flow in the princeps pollicis artery

Correct answer: 4. A marked decrease in the blood flow in the princeps pollicis artery

Explanation: The Radial artery divides into the Princeps pollicis artery and the deep palmar arterial arch. Thus, stenosis of the radial artery results in a decreased blood flow in the princeps pollicis artery. Superficial palmar arterial arch is formed primarily by the ulnar artery, which passes superficial to the flexor retinaculum. Extensor compartment of the forearm receives blood from the posterior interosseous artery, which arises from the common interosseous branch of the ulnar artery.